Incubation period for filariasis is -
1. 1 - 8 months
2. 8 - 16 months
3. 16 - 24 months
4. > 24 months

Correct answer: 2. 8 - 16 months